All of the following are true about the hydatid disease of liver, EXCEPT:
1. Most commonly located in the right liver
2. Hepatic resection is never done
3. Mostly Asymptomatic
4. Most common causative organism is echinococcus granulosus

Correct answer: 2. Hepatic resection is never done

Explanation: "If surgical cystectomy with removal of the germinal laminated layers is not technically feasible, then liver resection can be employed". Hydatid disease: Cystic hydatid disease is caused by the larval stage of Echinococcus granulosus is the most common whereas E. multilocularis and E. oligaus account for a small number of cases. Hydatid cysts are diagnosed in equal numbers of men and women at an age of 45 years. about three fourth of hydatid cysts are located in the right live and are singular. The clinical presentation of a hydatid cyst is largely asymptomatic until complications occur. The common presenting symptoms are abdominal pain, dyspnea, and vomiting. The most frequent sign is hepatomegaly, jaundice and fever are each present in about % of the patients. USG is the most commonly used worldwide for the diagnosis of echinococcosis because of its availability,affordability, and accuracy. Laparoscopic techniques for drainage and unroofing of cysts have been rates after surgical treatment ranges from 1% to 20% but are generally 55 %or less in experienced centres. If surgical cystectomy with removal of the germinal laminated layers is not technically feasible, then liver resection can be employed. During aspiration or surgical treatment of hydatid cysts, extreme caution must be taken to avoid rupture of the cyst with release of protoscolices into the peritoneal cavity. Ref: CSDT, 11th Edition, Page 128-29 Sabiston, 18th Edition, Page 494-95 ; L&B 25th Edition, Page 56-59